Structures passing through the aortic hiatus of diaphragm area) Aortab) Azygos veinc) Hemiazygos veind) Thoracic ducte) Sympathetic trunk
1. acd
2. abd
3. abc
4. ab

Correct answer: 2. abd

Explanation: Aortic opening
-        Level- T12
-        At osseoaponeurosis between right and left crus
-        Structures transmitted

   Aorta
   Thoracic duct
   Azygos vein